Commonest type of mesenteric cyst is ?
1. Enterogenous
2. Chylolymphatic
3. Dermoid
4. Urogenital remnant

Correct answer: 2. Chylolymphatic

Explanation: The most common non-neoplastic cysts are termed as mesothelial cysts or chylolymphatic cyst because it contains chyle. These cysts usually occur in adults with a mean age of 45 years. Reference : Sabiston Textbook of Surgery, 19th Edition, page no = 1104.